For bleeding varices of the oesophagus the common operation operations is/are -
1. Portocaval shunt
2. Gastrectomy
3. Splenectomy
4. All of the above

Correct answer: 1. Portocaval shunt